PSGN is -
1. Dense deposit disease
2. Rapidly progressive glomerulosclerosis
3. Nephrotic syndrome
4. Nephritic syndrome

Correct answer: 4. Nephritic syndrome

Explanation: Ans. is 'd' i.e., Nephritic syndrome Causes of Acute Nephritic SyndromeI. Primary GlomerulonephritisII. Sy stemic Disease1. Acute GNi) Post-streptococcalii) Non-streptococcal1. SLE2. Polyarteritis nodosa3. Wegener's granulomatosis4. Henoch-Schonlein purpura5. Cryoglobulinemia2. Rapidly progressive GN3. Membranoprol iferati ve GN4. Focal GN5. IgA nephropathy